Hampton's hump is seen in chest X-ray in:
1. Bronchogenic Ca
2. Aspergillosis
3. Pulmonary TB
4. Pulmonary embolism

Correct answer: 4. Pulmonary embolism

Explanation: pulmonary embolism Hamptons' hump is one of the classic radiographic findings of pulmonary embolism. It appears as a peripheral wedge shaped opacity on chest x rays. It is d/t pulmonary infarct. Other signs of pulmonary embolism on chest x-ray Westermark's sign - it's a.focal area of oligetnia due to vesoconstriction distal to embolus. Palla's sign - enlarged right descending pulmonary artery.